Compartment syndrome is commonly seen in
1. Fracture of proximal tibia
2. Fracture shaft humerus
3. Fracture of femur shaft
4. Fracture distal end radius

Correct answer: 1. Fracture of proximal tibia

Explanation: Answer-A. Fracture of proximal tibiaHigh-risk injuries for development of compartment syndrome are fractures of the elbow, forearm bones, proximal third of the tibia, and also multiple fractures of the hand or foot, crush iniuries and circumferentialburns.